Hyperfractionation radiotherapy is used in the management of –
1. Lung cancer
2. Breast cancer
3. Seminoma
4. Ovarian cancer

Correct answer: 1. Lung cancer

Explanation: Hyperfractionation or continuous hyperfractionated accelerated radiotherapy (CHART) is used to treat lung cancer.